A male patient presents with patchy loss of hair on scalp, eyebrows and beard. He also gives istory of rapid graying of hair in a few areas. The likely diagnosis is-
1. Alopecia areata
2. Anagen effluvium
3. Telogen effluvium
4. Androgenic alopecia

Correct answer: 1. Alopecia areata

Explanation: History of patchy hair loss with retaining of grey hairs is alopecia areata. other options anagaen effluvium, telogen effluvium are diffuse hair loss. androgenetic alopecia is paterened hair loss or male pattern baldness which involve fronto temporal receding. Ref Harrison20th edition pg 1230